In sebaceous glands accumulation of sebum leads to -
1. Millia
2. Acne
3. Epidermoidcyst
4. Milliria

Correct answer: 2. Acne

Explanation: Ans. is 'b' i.e., Acne o Acne results from a change in the keratinization process. Ducts of pilosebaceous glands have their opening into hair follicles and hair follicles open on skin surface by their hair follicle opening. Therefore blockage of hair follicle opening results in blockage of the pilosebaceous gland. This is the main pathogenic factor in acne vulgaris,o Three basic defects lead to the development of acne vulgaris : -i) Increased sebum secretionii) Follicular plug at hair follicle opening.iii) Bacterial infection.Increased hormonal secretion at puberty(especially testosterone & dihydrotestosterone)|Increased activity of pilosebaceous glands|Increased lipid-rich sebum secretion|Proliferation of Propionibacterium(Induced by lipid-rich sebum)|Propionibacterium produces lipase|Lyses of TG & release of FFA|FFA cause increased follicular keratinization|Follicular plug|Obstruction of hair follicle opening|Obstruction to the flow of sebumAbout other optionso An epidermoid cyst is a keratin-containing cyst lined by the epidermis. It develops due to the proliferation of surface epidermal cells into the dermis,o Mi Ilia is a miniature epidermoid cysto Milliria arises due to blockage of sweat glands.